Prepatent period' in lymphatic filariasis is defined as the time interval between inoculation of infective larvae and -
1. Blockage of lymphatics
2. First appearance of detectable microfilaria
3. Development of lymphoedema
4. Development of adult worm

Correct answer: 2. First appearance of detectable microfilaria

Explanation: lymphatic filariasis:- Pre patent period-Time interval between inoculation of infective larvae and first appearance of detectable microfilaria. Clinical incubation period-Time interval from invasion of infective larva to development of clinical manifestation. 8-16 months. {Reference: park's textbook of preventive and social medicine, 23rd edition, pg no.272}